The function of vitamin A is/are related to which of the following?
1. Retinol
2. Retinal
3. Retinoic acids
4. All of the above

Correct answer: 4. All of the above